ESI Act includes all the following except
1. small power using factories persons
2. defence establishment employing
3. Newspaper establishment
4. Non power using factories employing 20 or more person

Correct answer: 2. defence establishment employing